Occupational disease of lung caused by inhalation of sugar cane dust is called as:
1. Byssionosis
2. Bagassosis
3. Anthracosis
4. Silicosis

Correct answer: 2. Bagassosis